Streptococcus causing rheumatic heart disease is
1. Streptococcus milleri
2. Streptococcus mutans
3. Streptococcus pyogenes
4. Streptococcus equisimilis

Correct answer: 3. Streptococcus pyogenes

Explanation: Streptococcus pyogenes infection leads to two important non-suppurative post-streptococcal sequelae - acute rheumatic fever and acute glomerulonephritis. This complication ensues 1-3 weeks after the acute infection so that the organism may not be detectable when sequelae set in. In rheumatic fever, carditis, including connective tissue degeneration of the heart valves and inflammatory myocardial lesions characterized by Aschoff nodules is seen. Occurs due to an antigenic cross-reaction between group A carbohydrate of Streptococcus pyogenes and cardiac valves Streptococcal antigens cross-reactive with human tissues Streptococcal antigen Human antigen Disease Hyaluronic acid Synovial fluid Reactive arthritis Cell Wall M protein Myocardium ARF(Acute rheumatic fever) Cell Wall C carbohydrate Cardiac Valves ARF(Acute rheumatic fever) Peptidoglycan Skin antigens Guttate psoriasis Cytoplasmic membrane Glomerular vascular intima Acute glomerulonephritis (AGN) Reference: Textbook of Microbiology; Anathanarayan and paniker's; 10th edition; Page no: 215